Which is not an action of cortisol?
1. Stimulation of gluconeogenesis
2. Increases liver and plasma proteins
3. Mobilization of fatty acids
4. Increases the number of eosinophils

Correct answer: 4. Increases the number of eosinophils

Explanation: Stimulation of Gluconeogenesis: The best-known metabolic effect of cortisol and other glucocorticoids on metabolism is the ability to stimulate gluconeogenesis (i.e., the formation of carbohydrate  from  proteins  and some other substances) by the liver, often increasing the rate of gluconeogenesis as much as 6 to 10fold.  
Cortisol Increases Liver and Plasma Proteins: Coincidentally with the effect of glucocorticoids to reduce proteins elsewhere in the body, the liver proteins are increased. Furthermore, the plasma proteins (which are produced by the liver and then released into the blood) are also increased.
Mobilization of Fatty Acids: In much the same manner that cortisol promotes amino acid mobilization from muscle, it also promotes mobilization of fatty acids from adipose tissue.
Effect on Blood Cells and on Immunity in Infectious Diseases: Cortisol decreases the number of eosinophils and lymphocytes in the blood; this effect begins within a few minutes after the injection of cortisol and becomes marked within a few hours. Indeed, a finding of lymphocytopenia or eosinopenia is an important diagnostic criterion for overproduction of cortisol by the adrenal gland.
Key Concept:
Cortisol decreases circulating basophils, eosinophils and lymphocytes. All other cell count increases in cortisol treated person.
Reference: GUYTON AND HALL TEXTBOOK OF MEDICAL PHYSIOLOGY, THIRTEENTH EDITION(INTERNATIONAL EDITION ) page no 972,973,974, 976